Supranuclear lesion of facial nerve affects
1. Lower part of face
2. Upper part of face
3. Face
4. Spares Face

Correct answer: 1. Lower part of face

Explanation: It is caused by cerebrovascular accidents (haemorrhage, thrombosis or embolism), tumour or an abscess. It causes paralysis of only the lower half of face on the contralateral side. Forehead movements are retained due to bilateral innervation of frontalis muscle. Involuntary emotional movements and the tone of facial muscles are also retained. Ref: Dhingra 7e pg 107.